Methylene blue reduction test is done for estimating –
1. Fat content of milk
2. Sugar content of milk
3. Protein content of milk
4. Bacterial activity in milk

Correct answer: 4. Bacterial activity in milk